Which of the following is not an indication for cholecystectomy
1. A 70 year old male with symptomatic gallstones
2. A 20 year old male with sickle cell anaemia
3. A 65 year old female with a large gallbladder polyp
4. A 55 year old with an asymptomatic gallstone

Correct answer: 4. A 55 year old with an asymptomatic gallstone

Explanation: Indications of prophylactic Cholecystectomy Cardiac transplant recepients Lung transplant recipients Chronic TPN requirements Recepients of biliopancreatic diversion (bariatric patient) Children with hemoglobinopathy (sickle cell, thalassemia and spherocytosis) Asymptomatic gallstone >= 3cm Stone associated with the polyp Family history of gall bladder cancer and asymptomatic stones Cholelithiasis encountered during elective abdominal procedures Non functioning GB Typhoid carrier with positive bile culture Trauma to GB Procelain GB Ref: Sabiston 20th edition Pgno :1511